The site where elastic cartilage is found is which of the following?
1. Auditory tube
2. Nasal septum
3. Articular cartilage
4. Pubic symphysis

Correct answer: 1. Auditory tube

Explanation: In elastic cartilage the matrix contains numerous elastic fibres which form a network. The surface of elastic cartilage is covered by perichondrium. It is found in lateral part of external acoustic meatus, epiglottis, medial part of the auditory tube, corniculate and cuneiform cartilage.